The following rosette cataract is seen with
1. Steroid induced cataract
2. Traumatic cataract
3. Syndermatotic cataract
4. Rose thorn injury to lens

Correct answer: 2. Traumatic cataract